Virchow's node is seen in -
1. Left supraclavicular fossa
2. Anterior mediastinum
3. Posterior triangle of neck
4. Inguinal Region

Correct answer: 1. Left supraclavicular fossa

Explanation: Ans. is 'a' i.e., Left supraclavicular fossa o Virchow's node (or signal node) is a lymph node in the left supraclavicular fossa (the area above the left clavicle). It takes its supply from lymph vessels in the abdominal cavity. The finding of an enlarged, hard node (also referred to as Troisier's sign) has long been regarded as strongly indicative of the presence of cancer in the abdomen, specificallygastric cancer, that has spread through the lymph vessels. It is sometimes called the signal node or sentinel node for the same reason.